Newborn 7 days old with vomiting and dehydration clinical examination was normal except for hyperpigmentation of nipple. Electrolytes Na: 120 meq. K: 9 meq. most likely diagnosis -
1. Cong, adrenal hyperplasia
2. Primary hypothyroidism
3. Panhypopituitarism
4. Pyloric stenosis

Correct answer: 1. Cong, adrenal hyperplasia

Explanation: Congenital adrenal hyperplasia due to a defect in CYP21A2 is suggested by episodes of acute adrenal insufficiency with hyponatremia, hyperkalemia, dehydration & vomiting